Neural tube defects have which one of the following inheritance patterns ? -
1. Autosomal dominant
2. Autosomal recessive
3. X-linked recessive
4. Multifactorial

Correct answer: 4. Multifactorial

Explanation: Ans. is 'd' i.e., Multifactorial